Bass brushing technique:
1. Cleans teeth from gingival margins
2. Stimulates gingiva
3. Interdentat spaces
4. All of the above

Correct answer: 4. All of the above